Which of the following conditions is associated with Hypothyroidism:
1. Hoshimoto's Thyroiditis
2. Grave's Disease
3. Toxic Multinodular Goiter
4. Struma ovary

Correct answer: 1. Hoshimoto's Thyroiditis

Explanation: Answer is A (Hoshimoto's Thyroiditis) : Hoshimoto's Thyroiditis is associated with autoimmune hypothyroidism. Grave's disease, Toxic Multinodular Goiter and Struma Ovarii are all associated with primary hyperthyroidism Causes of Hyperthyroidism/ Thyrotoxicosis Primary hyperthyroidism * Grave's disease * Toxic multinodular goiter * Toxic adenoma * Functioning thyroid carcinoma metastases * Activating mutation of the TSH receptor * Activating mutation of GSa (Mc-Cune Albright syndrome) * Struma ovarii * Drugs: iodine excess (Jod-Basedow phenomenon) Thyrotoxicosis without hyperthyroidism * Subacute thyroiditis * Silent thyroiditis * Other causes of thyroid destruction: amiodarone, radiation, infarction of adenoma * Ingestion of excess thyroid hormone (thyrotoxicosis factitia) or thyroid tissue Secondary hyperthyroidism * TSH-secreting pituitary adenoma * Thyroid hormone resistance syndrome: occasional patients may have features of thyrotoxicosis * Chrionic gonadotropin-secreting tumors * Gestational thyrotoxicosis